Paradoxical excitation in children caused by
1. Barbiturate
2. Narcotic
3. Nitrous oxide
4. None of the above

Correct answer: 1. Barbiturate